Dawbarn sign
1. Infraspinatus tendinitis
2. Subacromial bursitis
3. Achliles tendon injury
4. None of the above

Correct answer: 2. Subacromial bursitis

Explanation: Subacromial bursitis Inflammation of the bursa that separates the superior surface of the supraspinatus tendon from the overlying coracoacromial ligament, acromion, coracoid (the acromial arch) and from the deep surface of the deltoid muscle. The subacromial bursa helps the movement of the supraspinatus tendon of the rotator cuff in activities such as overhead work.Dawbarn sign - the pain of subacromial bursitis disappears when the arm is abducted.(Refer: GS Kulkarni Textbook of Orthopedics, 3rd edition, pg no. 1357)